High T3, high T4, low TSH and low radioiodine uptake is seen in
1. Hashimoto's thyroiditis
2. Grave's disease
3. Subacute thyroiditis
4. Toxic nodule

Correct answer: 3. Subacute thyroiditis

Explanation: Ans) c ( Subacute thyroiditis) Ref Bailey 25th ed pg 800Subacute thyroiditisAlso called Granulomatous or Dequervines thyroiditisCaused by viral infections. Presents with pain in the neck, fever, malaise, firm irregular enlargement of one or both thyroid lobes.ESR raised, absent thyroid auto antibodies, serum T4 high.Iodine 133 uptake low. It is self limiting.There may be a period of hypothyroidism before recovery.Specific treatment - Prednisolone 10- 20mg for 7 days.Grave's disease & toxic noduleHyperthyroidism with increased radioiodine uptakeHashimoto's thyroiditisMild hyperthyroidism initially but hypothyroidism inevitable. Decreased T3 & T4.